Socialized medicine is
1. Health care at people's expense
2. Charitable care at government expense
3. Free medical care at government expense, regulated by professional groups.
4. Integration of social medicine with Health care.

Correct answer: 3. Free medical care at government expense, regulated by professional groups.

Explanation: *State Medicine: Provision of free medical services to the people at government expense*Socialized Medicine: Provision of medical service and professional education by the state, but the programme is operated and regulated by professional groups rather than by the government.*Social Medicine: study of social, economical, environmental, cultural, psychological and genetic factors, which have a bearing on health.